Laryngeal web most commonly involves region of:
1. Supraglottitis
2. Glottis
3. Subglottis
4. Both (a) and (b)

Correct answer: 2. Glottis

Explanation: Approximately 75% of laryngeal webs involve glottic region and are mainly situated anteriorly. Supraglottis and subglottis are involved less often. A laryngeal web is due to incomplete recanalisalion of the embryonic larynx.